In a pregnant female with BP 150/100 mm Hg, a protein/creatinine ratio of _______ suggests development of pre-eclampsia
1. >0.20
2. >0.30
3. <0.20
4. <0.30

Correct answer: 2. >0.30

Explanation: Ans. is b, i.e. >0.30Ref. Fernando Arias 4/e, p 189In patients with gestational hypertension, there are high chances (15-25%) of progressing to pre-eclampsia. Pre-eclampsia is heralded by the development of proteinuria.Proteinuria >=+2 in a random urine sample is diagnostic of pre-eclampsia in these patients. When proteinuria is + 1 or traces, it is necessary to send random sample to lab for determination of protein/ creatinine ratio and calcium/ creatinine ratio.Protein/creatinine ratio =>0.30- indicates pre-eclampsiaCalcium/creatinine ratio =<0.06- indicates pre-eclampsiaAlthough the gold standard would be measuring protein in 24 hours urine sample, but it is cumbersome.